Which of following drug inhibits xanthine oxidase:
1. Probenicid
2. Quiniarcine
3. Allopurinol
4. Sulfinpyrazone

Correct answer: 3. Allopurinol

Explanation: Ans. C: Allopurinol Xanthine oxidase is involved in purine metabolism. Inhibition of xanthine oxidase reduces the production of uric acid, and several medications that inhibit xanthine oxidase are indicated for treatment of hyperuricemia and related medical conditions including gout. Xanthine oxidase inhibitors are: a. Purine analogues include allopurinol, oxypurinol, and tisopurine. b. Others include febuxostat and inositols (phytic acid and myo-inositol).